Flumazenil antagonize the effect of which drug:
1. Ketamine
2. Fentanyl
3. Midazolam
4. Propofol

Correct answer: 3. Midazolam

Explanation: Ans. C. MidazolamFlumazenil is competitive antagonist of benzodiazepine receptor and is used for respiratory depression due benzodiazepines (midazolam).